Laser used in LASIK ?
1. Yag
2. Diode
3. Excimer
4. None

Correct answer: 3. Excimer

Explanation: Ans. is 'c' i.e., Excimer 3 PRK, PTK, LASIK and LASEK use excimer (argon fluoride) laser.